Serum C3 is persistently low in the following except -
1. Post-streptococcal glomerulonephritis
2. Membranoproliferative glomerulonephritis
3. Lupus nephritis
4. GlomerulonePhritis related to bacterial endocarditis

Correct answer: 1. Post-streptococcal glomerulonephritis

Explanation: Blood findings: Complement levels in post-streptococcal GN: Transient reduction during the disease Return to normal in 6-8 weeks. Urinary findings: Oliguria Mild proteinuria Hematuria(smoky or cola colored urine) Red cell casts or dysmorphic red cells (red cells with cellular protrusions or fragmentation) Ref: RAM DAS NAYAK EXAM PREPARATORY MANUAL FOR UNDERGRADUATES 2nd ed. pg no: 601